A mature pincer grasp is attained at ------ months
1. 8
2. 10
3. 12
4. 18

Correct answer: 3. 12

Explanation: Grasp is best as..~ by offering a red cube to the ol.j)d. A 6-month-old infant reaches and holds the cul-e {b.rg? object) in a crude manner usincr the ulnar asf'C'l-'i: of r~ hand (Fig. 3_27). He can transfer ~bjects from one h.md t::i oth~ by 6-1 months. The child is able to grasp from the radial side of hand at 8-9 months (Fig. 328). B\* the ab'" ci 1 year, mature grasp (index finuer and thumb) is e,iJo.t (Fig. 3.29). 0 By offering pellets (smaller object), finer hand skills;.:~ assessed. By 9-10 months, the child approaches the pelletby an index finger and lifts it using finger thumb apposition, termed 'pincer' gras